Which of the following organisms is not frequently found
in periodontosis?
1. Actinobacillus actinomycetemcomitans
2. Capnocytophaga
3. Mycoplasma
4. Actinomyces

Correct answer: 4. Actinomyces